"String of beads" appearance on horizontal abdominal view X-ray is suggestive of:
1. Intussusception
2. Sigmoid volvulus
3. Small bowel obstruction
4. Large bowel obstruction

Correct answer: 3. Small bowel obstruction

Explanation: Ans. Small bowel obstruction